Scar endometriosis is associated with which of the following surgeries?
1. Abdominal hyterotomy
2. Cesarean section
3. Tubectomy
4. All the above

Correct answer: 4. All the above

Explanation: Ans is 'd' i.e., All the above Scar Endometriosiso It usually manifests following abdominal hysterotomy, cesarean section, myomectomy or even tubectomy.o Implantation theory can explain its entity.o The patient complains of painful nodular swelling over or adjacent to the scar which increases in size and often bleeds during periods.o The size is variable, nodular feel, tender with restricted mobility. Associated pelvic endometriosis is usually absent.o The same type of nodular swelling can be found over episiotomy scaro Treatment is by excision. Hormone therapy is ineffective.